Loosening of association is associated -
1. Delirium
2. Amnesia
3. Dementia
4. Schizophrenia

Correct answer: 4. Schizophrenia

Explanation: Ans. is 'd' i.e. Schizophrenia o Loosening of association is a formal thought disorder which Involves shifting of ideas from one subject to another in an oblique or unrelated manner, Example "I an tired; all people have toes". Loosening of association is seen in schizophrenia.Thought disordersFormal thought disorders (Disorders of thought process)Disorders of thought contento Racing thoughts:- Anxiety, Schizophreniao Retarded thoughts:- Depressiono Circumstantiality:- Mania, Schizophreniao Perseveration:- Organic brain disease, Schizophrenia (occasionally)o Loosening of association:- Schizophreniao Flight of ideas:- Maniao Clunging & punning:- Mania & schizophreniao Neologism, word salad, Echolalia:- Schizophreniao Delusion Psychosis (Schizophrenia, mania, depression & otherso Obsessiono Preoccupationso Phobiaso Depersonalization & Derealizationo In schizophrenia and mood disorders (depression, mania) all parts of the thought (thought process as well as content) are involved.o However, schizophrenia is conventionally referred as formal thought disorder.